During rapid induction of anaesthesia –
1. Sellieck's maneuver is not required
2. Pre–oxygenation is mandatory
3. Suxamethonium is contraindicated
4. Patient is mechanically ventilated before endotracheal intubation

Correct answer: 2. Pre–oxygenation is mandatory

Explanation: During rapid sequence induction preoxygenation is done for full 3 minutes. Such is the muscle relaxant of choice for intubation. Sallieck's maneuver is done to prevent aspiration. Manual ventilation before intubation is avoided as this inflates the stomach and encourages regurgitation & aspiration.